Susceptible person developed disease within range of Incubation Period after coming in contact with Primary Case belongs to
1. Secondary attack rate
2. Case fatality rate
3. Primary attack rate
4. Tertiary attack rate

Correct answer: 1. Secondary attack rate

Explanation: (A) Secondary attack rate[?]Secondary Attack Rate (SAR)oNumber of exposed person developing the disease within the range of the incubation period following exposure to primary caseSAR =TotalNo.ofexposed/susceptiblecontactsNo.ofexposedpersondevelopingthediseasewithintherangetheincubationperiod x100-Denominator consists of all persons who are exposed to the case.-More specifically, the denominator may be restricted only to "susceptible" contacts, if means are available to distinguish the susceptible persons from the immune.-Primary case is excluded from both the numerator and denominator.-Limited to application in infectious diseases-In disease where there are numerous sub-clinical cases-Useful to determine the disease of unknown etiology is communicable or not-Useful in evaluating the effectiveness of control measures - immunizationMORBIDITY/MORTALITY RATESRateCalculationMeasure ofAttack Rate(Number of individuals during an outbreak population at risk at the beginning of the outbreak) * 10n*. Identifying risk factors for specific disease in outbreak investigationIncidence rate(Number of new cases of disease over a time interval/ avg. population at risk during the time interval)* 10n*. Monitoring the course of epidemic*. Cohort study - measure of effect of suspected or known risk factorsPrevalence rate(Number of existing cases of disease at a point of time/ population at risk during same point of time)* 10n*. Static measure of risk of having a particular disease*. Case control study - effect of suspected or known risk factorsCase fatality rateNumber of deaths from a specified cause/total number of cases of same disease*. Determine prognosis of disease*. Severity of the diseaseOther Options[?]Case fatality rate (Ratio):TotalnumberofcasesduetothesamediseaseTotalnumberofdeathsduetoaparticulardisease x1000-Case fatality rate represents the killing power of a disease.-It is simply the ratio of deaths to cases.-The time interval is not specified.-Case fatality rate is typically used in acute infectious diseases (e.g., food poisoning, cholera, measles).-Its usefulness for chronic diseases is limited, because the period from onset to death is long and variable. For the same disease may vary in different epidemics because of changes in the agent, host and environmental factors. Case fatality is closely related to virulence.[?]Attack rate (Primary Attack Rate):-It is an incidence rate (usually expressed as a per cent), used only when the population is exposed to risk for a limited period of time such as during an epidemic.-It relates the number of cases in the population at risk and reflects the extent of the epidemic.Attack rate =Totalpopulationatriskduringthesameinterval NumberofnewcasesofaspecifiedDiseaseduringaspecifiedtimeinterval x100